Which is true regarding hydatid cyst of lung ?
1. Never ruptures
2. Calcification is common
3. Always associated with cyst in the liver
4. More common in lower lobes.

Correct answer: 4. More common in lower lobes.

Explanation: Ans. is 'd' is more common in lower lobe After going through so many books I could get hold of the following points regarding hydatid cyst of lung. Lung in the IInd MC site for hydated cyst (Liver is the Ist)* Only 10% of pulmonary cyst are associated with hepatic cyst. About 20% of pulmonary cysts are bilateral. Usually seen in the lower lobes of lung. Calcification in rare (Note that the calcification is very common in hydatid cyst of liver). It may rupture into the bronchial tree or the peritoneal cavity.